Intercalated discs are present in?
1. Smooth muscle cell
2. Skeletal muscle cell
3. Cardiac myocytes
4. Hone

Correct answer: 3. Cardiac myocytes

Explanation: ANSWER: (C) Cardiac myocytesREF: Ganong's 22nd ed p. 78"Cardiac muscle consists of single heart musde ceils (cardiomyocy tes) which have to be connected by intercalated discs to work as a functional organ"MUSCLE CELLS TYPES SkeletalCardiacSmoothNucleiMultinucleated, peripherally locatedSingle nuclei, Centrally locatedSingle nuclei. Centrally locatedBandingActin and myosin form distinctive bandsActin and myosin form distinctive bandsActin and myosin; No distinctive bandsZ-disksPresentPresentAbsent, cytoplasmic dense bodies are presentT tubulesT tubules at A-I junction; triads presentT tubules at Z disk; diads presentNo T tubules; no triadsCellular junctionsNo junctional complexesIntercalated disksGap junctionsNeuromuscularjunctionsPresentNot present; contraction is intrinsicNot present; contraction is intrinsic, neural, or hormonalCa+ bindingTroponinTroponinCalmodulinRegenerationLimited; satellite cellsNoneHigh